Clinical audit means ?
1. Measuring hospital records
2. Measuring current patients care against explicit criteria
3. Measuring input-output analysis
4. Measuring shortest time needed to complete task

Correct answer: 2. Measuring current patients care against explicit criteria

Explanation: Ans. is 'b' i.e., Measuring current patients care against explicit criteria Clinical audit is a quality improving process, in which patients care is improved. In this, current patients outcome and outcomes are measured against explicit audit criteria (against reference standards).